Essential radiological feature of acute mastoiditis is:
1. Temporal bone pneumatization
2. Clouding of air cells of mastoid
3. Rarefaction of petrous bone
4. Thickening of temporal bone

Correct answer: 2. Clouding of air cells of mastoid

Explanation: (b) Clouding of air cells of mastoid(Ref. Cummings, 6th ed., 2161)X-ray mastoid and CT scan shows clouding of air cells because of the collection of exudates in them. Later on mastoid pneumatisation is lost and a single mastoid cavity may be seen.